Group A streptococcus causes all except -
1. Scarlet fever
2. Erysipelas
3. Impetigo
4. Epidermolysis bullae

Correct answer: 4. Epidermolysis bullae

Explanation: Ans. is 'd' i.e., Epidermolysis bullae